The disability adjusted life years (DALY)s lost due to neoropsychiatric disorders is highest in -
1. Bipolar effective disorders
2. Unipolar depressive disorders
3. Panic disorders
4. Obsessive compulsory disorder

Correct answer: 2. Unipolar depressive disorders

Explanation: The disability-adjusted life year (DALY) is a measure of overall disease burden, expressed as the number of years lost due to ill-health, disability or early death. It was developed in the 1990s as a way of comparing the overall health and life expectancy of different countries. Ref: 25th edition, Park's Textbook of Preventive and Social Medicine, Page no. 26